Diabetes mellitus associated with
1. ↑ HDL
2. ↑Triglycerides
3. ↓Triglycerides
4. ↓ Cholesterol

Correct answer: 2. ↑Triglycerides